Which of the following is given orally
1. Argatraban
2. Alteplase
3. Rivaroxaban
4. Fondaparinux

Correct answer: 3. Rivaroxaban

Explanation: Ans. is 'c' i.e., Rivaroxaban Rivaroxaban - it is an orally active direct inhibitor of activated factor Xa which has become available for prophylaxis and treatment of DVT. Alteplase - given by i.v. infusion due to short half life of 4 - 8 min and often requires heparin coadministration. Argatroban - direct thrombin inhibitor; given by i.v. infusion; used in place of lepirudin for short term indications in patients with heparin induced thrombocytopenia. Fondaparinux - 100% bioavailability with subcutaneous injection